Average filler content seen in macrofilled composites is:
1. 60-70 % by weight
2. 50-60 % by weight
3. 70-80 % by weight
4. 65-75 % by weight

Correct answer: 3. 70-80 % by weight